Which statement best describes the medial compartment of the thigh?
1. Adductor magnus, longus and brevis insert onto the linea aspera.
2. All the muscles of the medial compartment are innervated by the obturator nerve.
3. All the muscles of the medial compartment take origin from the ischium.
4. The obturator nerve is split into anterior and posterior divisions by adductor longus.

Correct answer: 1. Adductor magnus, longus and brevis insert onto the linea aspera.

Explanation: a. All three adductor muscles insert onto the linea aspera. The hamstring portion of adductor magnus inserts on the adductor tubercle above the medial femoral epicondyle. b. Pectineus is a muscle of the medial compartment but is innervated by the femoral nerve. Its action is flexion and adduction of the thigh at the hip. c. All muscles of the medial compartment take origin from the pubic bone. They are the three adductors, pectineus, obturator externus and gracilis. d. The obturator nerve splits into anterior and posterior divisions which are separated by adductor brevis. The obturator nerve is formed from the anterior divisions of the anterior primary rami of L2-L4.